MC cause of atypical pneumonia?
1. Mycoplasma pneumoniae
2. Klebsiella pneumoniae
3. Hemophilus influenzae
4. Chylamydia

Correct answer: 1. Mycoplasma pneumoniae

Explanation: MC cause of Atypical pneumonia- Mycoplasma Pneumoniae aka "Eaton's agent". This organism does not have cell wall which makes them resistant to the treatment by Penicillin's. The infection will be treated by the use of Macrolide antibiotic (Azithromycin).